Which of the following is false about mccune Albright syndrome
1. Inherited disorder
2. Bone abnormalities
3. Café au lait spots
4. Precocious puberty

Correct answer: 1. Inherited disorder

Explanation: Mccune-albright syndrome is due to in utero mutation thus it is not an inherited syndrome.